Normal portal vein pressure is
1. < 3 mm Hg
2. 3-5 mm Hg
3. 5-10 mm Hg
4. 10 to 1 2mm of Hg

Correct answer: 3. 5-10 mm Hg

Explanation: • Normal portal vein pressure: 5-10 mm Hg 
• Variceal formation occurs when portal pressure is >10 mm Hg.
• Variceal bleeding occurs when portal pressure is >12 mm Hg.
 • Normal portal vein pressure: 10-15 cm saline
• Definition: Portal pressure >10 mm Hg
• MC cause of portal hypertension in United States: Cirrhosis.
• Consequence of both increased portal vascular resistance and increased portal flow.
• Portal hypertension results in splenomegaly with enlarged, tortuous, and even aneurysmal splenic vessels.
• Cruveilhier-Baumgarten murmur: Audible venous hum in caput medusa
• Hyperdynamic portal venous circulation seems to be related to the severity of the liver failure.
• Upper G.I. bleeding is caused by the portal hypertension in about 90% of instances.
• Most bleeding episodes occur during the first 1 to 2 years after identification of varices.
• Colour Doppler is the investigation of choice for evaluation of PHT.
• About one third of deaths in patients with known esophageal varices are due to upper GI bleed
• A larger proportion dies as a result of liver failure.
• MC causes of death in cirrhosis patients: Hepatic failure
• 2nd MC causes of death in cirrhosis patients: variceal hemorrhage